Radical mastoidectomy includes all except -
1. Closure of the auditory tube
2. Ossicles removed
3. Cochlea removed
4. Exteriorisation of mastoid

Correct answer: 3. Cochlea removed

Explanation: In radical mastoidectomy, structure of middle ear cleft are removed, not inner ear (e.g. cochlea).